Troponin-T is preferable to CPK-MB in the diagnosis of acute myocardial infraction in all the following situations except
1. Beside diagnosis of MI
2. Postoperatively - after CABG
3. Reinfraction after 4 days
4. Small infracts

Correct answer: 3. Reinfraction after 4 days

Explanation: Ref Harrison 19 th ed pg 1594 Because of cardiac troponins are elevated for prolonged periods an episode of recurrent ischemia after four days would be more readily diagnosed with a marker that remains elevated in blood more briefly such as CK-MB which returns to normal levels by 72 hours .